Rule of 9 in burns is used to denote -
1. Depth of bums
2. % of total body surface area
3. Severity of bums
4. Type of bums

Correct answer: 2. % of total body surface area

Explanation: Ans. is 'b' i.e., % of total body surface areao Rule of 9 (Wallace's formula) - it is used for estimation of bum area The surface area burnt is more important than the degree of bum, in assessing prognosis of a given case. For example, a first degree bum over a wide area is more dangerous than a third degree bum over a limited area.Area of bodyIn Children (Lund and browder chart)In Adults (Rule of nine: Wallace's formula) 1-4 years5-9 years10-14 yearsAdultHead and Neck1915139Trunk (front)16161618 (Front of chest + abdomen)Trunk back16161618 (Back of chest + abdomen)Upper limbs19191918 (Right+left upper limbs)Lower limbs30343536 (Front+back of right and left lower limbs)Genitals0011